Drug not given in treatment of tenia versicoloris?
1. Miconazole
2. Selenium sulfide
3. Sodium thiosulfate
4. Griseofulvin

Correct answer: 4. Griseofulvin

Explanation: Ans. is 'd' i.e., Griseofulvin Treatment of P. versicolor Systemic --> Ketoconazole, Fluconazole, Itraconazole. Topical --> Azoles (clotrimazole, econazole, micronazole, ketoconazole), selenium sulfide, sodium thiosulphate, whitfield's ointment (3% salicylic acid + 6% benzoic acid).